Uses of estrogen are all except -
1. Senile vaginitis
2. Carcinoma prostate
3. Breast cancer
4. Delayed puberty

Correct answer: 3. Breast cancer

Explanation: Ans. is 'c' i.e., Breast cancer Antiestrogens (not estrogen) are used in breast cancer.